Gunstock deformity is seen in relation to:
1. Supracondylar fracture humerus
2. Fracture of mid-shaft of humerus
3. Fracture of lateral condyle of humerus
4. Fracture of proximal humerus

Correct answer: 1. Supracondylar fracture humerus

Explanation: Reference: Apley's System of Orthopaedics and Fractures 9th editionExplanation:The 'gunstock' deformity (cubitus varus deformity)It refers to a cubitus varus deformity which is most obvious when the elbow is extended and the arms are elevated.The most common cause is malunion of a supracondylar fracture.The deformity can be corrected by a wedge osteotomy of the lower humerus but this is best left until skeletal maturity.Cubitus valgus deformityIt is noted in longstanding non-union of a fractured lateral condyle.The deformity may be associated with marked prominence of the medial condylar outline.The importance of cubitus valgus is the liability to delayed ulnar palsy (tardy ulnar nerve palsy)Years after the causal injury the patient notices weakness of the hand, with numbness and tingling of the ulnar fingers.The deformity itself needs no treatment, but for delayed ulnar palsy the nerve should be transposed to the front of the elbow.